Insulin causes all except
1. Glycolysis
2. Glycogenesis
3. Neoglucogenesis
4. None

Correct answer: 3. Neoglucogenesis

Explanation: insulin inhibits the secretion of glucagon, a known activator ofgluconeogenesis , thereby bringing about an indirect inhibitory effect on the process in the liver. In addition,insulin inhibits lipolysis , which reduces circulating glycerol and nonesterified free fatty acid (NEFA) levels. Ref ganong's review of medical physiology 25e